Asbestosis of lung is associated with all of the following except
1. Mesothelioma
2. Progression of lesion even after stopping exposure to asbestosis
3. Nodular lesions involving upper lobe
4. Asbestosis bodies in sputum

Correct answer: 3. Nodular lesions involving upper lobe

Explanation: Nodular lesions involving upper lobe is a feature of silicosis